A 25-year-old woman suffering from bilateral hearing loss for 6 years which became profound with pregnancy. On tympanogram, which of the following curve is obtained?
1. AD
2. AS
3. B
4. A

Correct answer: 2. AS

Explanation: Bilateral hearing loss getting worse in pregnancy is due to otosclerosis. Tympanogram in this case would be AS type. It is a normal tympanogram with reduced compliance due to stapes fixation.